Haemoptysis is caused by the following
1. Leukaemia
2. Haemophilia
3. Anticoagulant therapy
4. All

Correct answer: 4. All